Progressive sensorineural loss of hearing, tinnitus and ataxia have been seen in an elderly. This is a case of:
1. Otitis media
2. Cerebral glioma
3. Acoustic neuroma
4. Ependymoma

Correct answer: 3. Acoustic neuroma

Explanation: (c) Acoustic neuroma(Ref. Cummings, 6th ed., 2750)Otitis media presents with ear discharge and conductive hearing loss.Glioma is a type of tumour that starts in the brain or spine from glial cells. The three main types of glioma include: ependymoma, astrocytoma and oligodendroglioma The first symptoms of a glioma are likely to be caused by increased intracranial pressure within the skull (headache, nausea, vomiting, seizures, and cranial nerve disorders) in sharp contrast to acoustic neuroma where these usually occur at last. Depending upon the area of brain involved in gliomas, there are focal neurological symptoms, e.g. seizures, hemiparesis, visual field defects, etc.